According to international standards, still birth is defined as weight of fetus over?
1. 500 gm
2. 850 gm
3. 1000 gm
4. 2000 gm

Correct answer: 3. 1000 gm

Explanation: parks textbook of preventive and social medicine 23rd edition *stillbirth rate is defined as death of foetus weighing 1000gor more occuring during one year in every 1000 total births.